Which one of the following bone tumors typically affects the epiphysis of a long bone -
1. Osteosarcoma
2. Ewing's sarcoma
3. Chondroblastoma
4. Chondromyxoid fibroma

Correct answer: 3. Chondroblastoma

Explanation: It occurs mostly in the epiphysis of long bones.